Type of hereditary hemorrhagic telangiectasia commonly associated with ALK-1 mutation is:
1. Type 1
2. Type 2
3. Type 3
4. Type 4

Correct answer: 2. Type 2

Explanation: B i.e. Type 2Ref: Genetic Home ReferenceExplanation:Hereditary Hemorrhagic Telangiectasia (HHT or Osler-Weber-Rendu Syndrome)Inherited disorder characterized by malformations of various blood vessels (vascular dysplasia), potentially resulting in bleeding (hemorrhage).There are totally 6 types till date.Chronic nose bleeding is usually the first sign*.Genetics.TypeMutationHHT 1ENG geneHHT 2ALK 1 geneHHT 3Unidentified gene in Ch 5 (putative)HHT 4Ch 7p14